The right lobe of the liver consists which of the following segments?
1. V, VI, VII and VIII
2. IV, V, VI, VII and VIII
3. I, V, VI, VII and VIII
4. I, IV, V, VI, VII and VIII

Correct answer: 1. V, VI, VII and VIII

Explanation: Ans. V, VI, VII and VIII